Method of termination of pregnancy in first trimester are all of the following except:
1. Ethyl dacrycyanate
2. Misoprostol + Mifepristone
3. Methotrexate + Misoprostol
4. Suction and evacuation

Correct answer: 1. Ethyl dacrycyanate

Explanation: Ans. A: Ethyl Dacrycyanate Method of termination of pregnancy in first trimester are Manual vacuum aspiration Suction evacuation and/or curettage Dilatation and evacuation Medical methods: - Misoprostol + Mifepristone - Methotrexate + Misoprostol - Tamoxifen + Misoprostol